Chancre redux is a clinical feature of ?
1. Early relapsing syphilis
2. Late syphilis
3. Chancroid
4. Recurrent herpes simplex infection

Correct answer: 1. Early relapsing syphilis

Explanation: Ans. is 'a' i.e., Early relapsing syphilis . Chancre redux is the appearance of relapsing lesion at the site of the healed lesion, it is due to relapse of original infection (not due to reinfection). . Dead end infection is seen in Leptospirosis 4. Human Rabies 7. T. solium Legionella 5. Endemic typhus 8. Echinococcus granulosus Tetanus 6. J.E. 9. Trichinella spiralis